A child is born with a single functional copy of a TSG. At the age of 5, the remaining normal allele is lost through mutation. As a result, the ability to control transition from G1 to S phase of cell cycle is lost. Which neoplasm is mot likely to arise in this child?
1. Retinoblastoma
2. Breast carcinoma
3. Adenocarcinoma colon
4. Cerebral astrocytoma

Correct answer: 1. Retinoblastoma